In polytrauma with blunt abdominal injury, the first investigation to evaluate his abdomen is
1. USG
2. CT Scan
3. Complete Hemogram
4. Abdominal X-ray

Correct answer: 1. USG

Explanation: Ans. (a)USG is the first investigation to evaluate abdomen in bunt trauma.Ref. Schwartz 10th/e p. 179 and 9th/e p. 151; Washington Manual of Surgery 5th/e p. 373 * CT scan is the best investigation.